DNA synthesis is seen in which phase of cell cycle?
1. Resting phase
2. Synthetic phase
3. Mitotic phase
4. Premitotic phase

Correct answer: 2. Synthetic phase

Explanation: * Cell cycle is defined as the sequence of events that causes cell division.* It consists of following phases:# G1 phase (Presynthetic growth)# S phase (DNA synthesis)# G2 (Premitotic growth), and# M phase (mitotic).# Quiescent cells that are not actively cycling are said to be in the G0 state. Cells can enter G1 either from the G0 quiescent cell pool, or after completing a round of mitosis, as for continuously replicating cells.